Most common cause of death in a patient with chronic renal failure on dailysis:
1. Uraemia
2. Infection
3. Cardiovascular disease
4. respiratory failure

Correct answer: 3. Cardiovascular disease

Explanation: Ans. C: Cardiovascular disease In chronic renal failure treated with standard dialysis, cardiovascular disease constitute the major cause of death.